Long duration anesthesia is achieved by
1. 2% Lidocaine HCL + Epinephrine 1:2,00,000
2. 3% Mepivacaine HCL
3. 4% Prilocaine HCL + Epinephrine 1:2,00,000
4. 0.5% Bupivacaine+ Epinephrine 1:2,00,000

Correct answer: 4. 0.5% Bupivacaine+ Epinephrine 1:2,00,000